Which of the following can be prevented by screening-
1. Ca cervix
2. Ca breast
3. Ca prostate
4. Ca lung

Correct answer: 1. Ca cervix

Explanation: Ref:Parks 23rd edition pg 387. The prolonged early phase of cancer in situ can be detected by the Pap smear. The present strategy is to screen women using visual inspection after application of freshly prepared 5% acetic acid solution.